Active form of vitamin Li is
1. Cholecalciferol
2. 24, 25 (OH)2 vit-D
3. 1,25(OH) 2 vit-D
4. 25-OH vit-D

Correct answer: 3. 1,25(OH) 2 vit-D

Explanation: 1,25(011) 2 vit-D (Ref: Harper 26/e, p 484-485; Harrison 16/e, p 2246: Chatterjee Shinde Biochemistry 6/e, p 151] Synthesis and metabolism of Vitamin D Calcidiol may undergo 24-hydroxylation to yield an inactive metabolite, 24, 25-dihydroxy vit. D mediated by vit. D 24 - hydroxylase. 1, 25 (01-1)2D is the major inducer of vit-D-24 hydroxylase, thus promotes its own inactivation, thereby limiting its biologic effects.